Prosopognosia is
1. Inability to recognise face
2. Associated with Grestman syndrome
3. Inability to do fine movement
4. Seen in Balint syndrome

Correct answer: 1. Inability to recognise face

Explanation: (A) Inability to recognise face> Prosopognosia is a face-blindness (inability to recognise face) can be a developmental disorder, rather than one induced by strokes or lesions. Indeed, it turns out to be relatively common, affecting around 2 percent of the population.